The following diagram shows the depth of respiration of a 45 year old man, who suffered a head injury in an automobile accident. This crescendo decrescendo pattern of breathing is known as:
1. Apnea
2. Biot's breathing
3. Cheyne stokes breathing
4. Hyperpnea

Correct answer: 3. Cheyne stokes breathing

Explanation: Cheyne-Stokes breathing is the most common type of periodic breathing. The person breathes deeply  for a short interval and then breathes slightly or not at all for an additional interval. This pattern  repeats itself about every minute. Apnea is a transient cessation of respiration. So, it is true that Cheyne Stokes breathing is associated with periods of apnea.​
​Biot's breathing refers to sequences of uniformly deep gasps, apnea, and then deep gasps.​
Hyperpnea means increased breathing, usually referring to increased tidal volume with or without  increased frequency.​
Tachypnea means increased frequency of breathing.